Hematocrit is defined as:
1. The percentage of total plasma volume that is occupied by cells
2. The percentage of total blood volume that is occupied by cells
3. The percentage of total intravascular volume that is occupied by cells
4. The percentage of total intracellular volume that is occupied by cells

Correct answer: 2. The percentage of total blood volume that is occupied by cells

Explanation: Hematocrit is the percentage of total blood volume that is being occupied by cells. It affects the viscosity of blood. Cell volume ----------------------------- * 100 Total blood volume Ref: Ganongs Review of Medical Physiology, 21st Edition, Page 3